All are benign conditions except ?
1. Fibroadenoma
2. Cystosarcomaphyllodes
3. Pagets disease of nipple
4. Galactocele

Correct answer: 3. Pagets disease of nipple

Explanation: Ans. is 'c' i.e. Pagets disease of nippleBenign breast disorder classification :?a) Congenital disordersInverted nippleSupernumerary breasts/nipplesNon-breast disordersTietze's disease (costochondritis)Sebaceous cysts and other skin conditionsb) Injuryc) Inflammation/infectiond) ANDI (aberations of normal differentiation and involution):Cyclical nodularity and mastalgiaCystse) Fibroadenomaf) Duct ectasia/periductal mastitisg) Phyllodes tumor (CystosarcomaPhyllodes)h) Pregnancy-relatedGalactocelePuerperal abscess